4 components of RCH elaborated
1. Prevention of STD
2. Family planning
3. Child survival
4. All

Correct answer: 4. All

Explanation: Four components of RCH programme are

Family planning;
Child survival and safe motherhood:
Client approach to health care, and
Prevention of RTT/STD/AIDS. Reproductive and Child health Programme

RCH programme was launched in October 1997.
Reproductive and child health approach has been defined as : -

People have the ability to reproduce and regulate their fertility'.
Women are able to go through pregnancy and child birth safety.
The Outcome of pregnancies is successful in terms of maternal and infant survival and well being.
Couples are able to have sexual relaons free of fear of pregnancy and of contracng disease, o RCH phase I programme incorporated the following components.